Which organism causes infection after splenectomy
1. H. Influenza
2. Staph aureus
3. E.coli
4. Klebsiella

Correct answer: 1. H. Influenza

Explanation: Ans. (a) H. InfluenzaRef : Harrison 19th ed. / 484f 652* Spleen protects from capsulated organisms and hence protects from infection from organisms like pneumococcus, meningococcus, hemophilus influenza.* Vaccination against these organisms must be done 4 weeks before planned splenectomy.